In congenital adrenal hyperplasia precocious puberty in male is due to ?
1. 21 alpha hydroxylase deficiency
2. 11(3 hydroxylase deficiency
3. Bot
4. None

Correct answer: 3. Bot

Explanation: Ans. is 'c' i.e., Both